Nuclear and cytoplasmic changes in the apoptotic cells are due to
1. Oxygen free radicals
2. Caspases
3. Complement fixation
4. ATP ases

Correct answer: 2. Caspases

Explanation: Activation and Function of Caspases
• The mitochondrial and death receptor pathway leads to the activation of the initiator caspases, caspase 9 and - 8, respectively. Active forms of these enzymes are produced and this cleave and thereby activate another series of caspases that are called the executioner caspases.
These activated caspases cleave numerous targets culminating in activation of nucleases that degrade DNA and nucleoproteins. Caspases also degrade components of nuclear matrix and cytoskeleton, leading to fragmentation of cells.